Which of the following is a dimorphic fungus
1. Rhizopus
2. Sporothrix schenckii
3. Tinea versicolor
4. Microsporum

Correct answer: 2. Sporothrix schenckii

Explanation: Tinea versicolor and Microsporum are dermatophytes which is a mould. Reference: Textbook of Microbiology; Baveja; 4th edition